Foreign body aspirated during dental procedures can be retrieved by:
1. Bronchoscopy
2. Gastroscopy
3. Arthroscopy
4. None of the above

Correct answer: 1. Bronchoscopy